Hernia with hydrocele is .... hernia -
1. Gibbon's
2. Fruber' s
3. Dobson ' s
4. Leobel' s

Correct answer: 1. Gibbon's

Explanation: Ans. is 'a' i.e., Gibbon's